Modern intraocular lens are NOT made up of:
1. Silicon
2. Acrylic acid
3. PMMA
4. Glass

Correct answer: 4. Glass

Explanation: Ans. D i.e. Glass